Which of the following is ideal site for harvesting bone graft?
1. Iliac crest
2. Distal end of humerus
3. Distal end of femur
4. Fibula

Correct answer: 1. Iliac crest

Explanation: Iliac crest is the ideal and most common site for harvesting bone graft. BONE GRAFT Ilium (Pelvis): This is an ideal source of primary 1st order bone graft because it is relatively subcutaneous, has natural curvatures that are useful in fashioning grafts, has ample cancellous bone and has cortical bone of varying thickness. Removal of bone carries minimal risk and usually no significant residual disability. Posterior superior iliac spine is the best source of cancellous bone. Anterior iliac crest is the best source of bicortical and cortico cancellous graft. Location according to age: Child- Tibial tuberosity Adults- Posterior superior iliac spine Obese- Anterior superior iliac spine